The highest rate of transmission of toxoplasmosis in pregnancy is
1. Puerperium
2. 3rd trimester
3. 2nd trimester
4. 1st trimester

Correct answer: 2. 3rd trimester

Explanation: The incidence and severity of fetal toxoplasmosis infection depend on gestational age at the time of maternal infection. Risks for fetal infection increase with pregnancy duration. A meta-analysis estimated the risk to be 15 percent at 13 weeks, 44 percent at 26 weeks, and 71 percent at 36 weeks (SYROCOT Study Group, 2007). Conversely, the severity of fetal infection is much greater in early pregnancy, and these fetuses are much more likely to have clinical findings of infection.Ref: William's obstetrics; 24th edition; Chapter 64; Infectious Diseases; Protozoal infections